Features of alcoholic liver disease -
1. Fatty changes
2. Pericellular fibrosis
3. Mallory bodies seen
4. All

Correct answer: 4. All

Explanation: Ans. is AllPathology of alcoholic liver diseaseSteatosis (fatty liver)o Microvesicular fatty change o Later changes to macrovesicular fatty changeAlcoholic hepatitiso Hepatocellular necrosis o Ballooning degeneration o Mallory bodieso Neutrophilic infiltration Perivenular and perisinusoidol fibrosis --*central hyaline sclerosisAlcoholic cirrhosiso Nodularity o Fibrosis